Thin spiral interdental brushes are used in which type of embrasures?
1. Type 1
2. Type 2
3. Type 5
4. Type 4

Correct answer: 2. Type 2